When a person changes position from standing to lying down. Following change is seen
1. Heart rate increase
2. Venous return to heart increases immediately
3. Cerebral blood flow increase
4. Blood flow at apices of lung decreases

Correct answer: 2. Venous return to heart increases immediately

Explanation: Ans. (b) Venous return to heart increases immediatelyRef: Ganong, 25th ed/p.590Lying down from standing position increases venous returnOn immediate standing, there is venous pooling leading to decrease in venous return to heart